Best diagnostic method for breast lump is
1. USG
2. Mammogram
3. Biopsy
4. FNAC

Correct answer: 3. Biopsy

Explanation: First investigation for tissue sampling : FNAC Best and diagnostic investigation : Biopsy Ref: Sabiston 20th edition Pgno: 826-828